Maternal antibodies do not occur for-
1. Polio
2. Diphtheria
3. Whooping cough
4. Tetanus

Correct answer: 3. Whooping cough

Explanation: In Whooping cough maternal antibodies do not occur . So infants are susceptible to infection. Reference:Park's textbook of preventive and social medicine,K.Park,23rd edition,page no:164.